Which one of the following statements truly represents Bell's paralysis?
1. Facial nerve paralysis and contralateral Hemiparesis
2. Combined paralysis of the facial, trigeminal and abducens nerves
3. Idiopathic ipsilateral paralysis of the facial nerve
4. Facial nerve paralysis with uveitis and parotid enlargement

Correct answer: 3. Idiopathic ipsilateral paralysis of the facial nerve

Explanation: (c) Bell's palsy is idiopathic LMN palsy of facial nerve causing ipsilateral paralysis of face.(Ref. Scott Brown, 6th ed., 1400)Ipsilateral Facial nerve paralysis and contralateral Hemiparesis along with ipsilateral VI nerve palsy constitutes Millard Gubler syndrome. It is a form of "crossed hemiplegia," as the paralysis of muscles controlled by the facial nerve occurs on the same side as the lesion, while the hemiplegia of muscles below the neck occurs on the opposite side from the lesionIn Bell's palsy facial palsy may be associated with other cranial nerve neuropathies which are Vth, VIIIth, IXth and Xth.Facial nerve paralysis with uveitis and parotid enlargement constitutes Heerfordt's syndrome.